Kidney lesions are common in -
1. PAN
2. Type II DM
3. SLE
4. All of the above

Correct answer: 4. All of the above